Good pasture's syndrome is charachterized by:
1. Anti-GBM antibodies
2. Crescenteric glomerulonephritis
3. Diffuse alveolar haemorrhage
4. All of the above

Correct answer: 4. All of the above

Explanation: Answer is D (All of the above): Harrison's syndrome is typically associated with anti-GBM antibodies, crescenteric glomerulonephritis (RPGN) and diffuse alveolar haemorrhage `Good pasture's syndrome is charachterized by the combination of Diffuse Alveolar Haemorrhage (DAH) and glomerulonephritis (Crescents; RPGN) associated with anti-gomerular basement membrane (GBM) antibodies in serum or evident on immunofluorescent staining of renal or lung tissue. The sine-qua-non of Good pasture's syndrome is the demonstration of linear deposition of Ig -G - immunoglobulin (IgG) along the alveolar capillary or GBM.' - Kelly Essentials of Internal Medicine